Babloo a 5-year boy presents with small hypopigmented scaly macule on the check. Some of his classmates also have similar lesions. The most probable diagnosis is -
1. Pityriasis rosea
2. Pityriasis Versicolor
3. Indeterminate leprosy
4. Pityriasis alba

Correct answer: 4. Pityriasis alba